60 yrs old male with bony abnormality at upper tibia associated with sensorineural hearing loss. On laboratory examination serum alkaline phosphatase levels are (440mU/I) elevated and serum Ca ++ and PO4- are normal, Skeletal survey shows ivory vertebrae and cotton wool spots in x-ray skull.Diagnosis is -
1. Fibrous dysplasia
2. Paget's disease
3. Osteosclerotic metastasis
4. Osteoporosis

Correct answer: 2. Paget's disease

Explanation: Increased serum alkaline phosphatase
Normal calcium and phosphate
Bony lesions in skull and vertebrae
Sensorineural hearing loss


Amongst the given option, these feature can occur only in Paget's disease.